Which of the following is most common symptom of tetanus
1. Risus sardonicus
2. Trismus
3. Hyperreflexia
4. Tonic clonic convulsion

Correct answer: 2. Trismus

Explanation: Trismus, due to spasm of masseter and pterygoids is the most common symptom of tetanus.